Ethmoid bone forms articulation with which of the following-
1. superior turbinate
2. Middle turbinate
3. Inferior turbinate
4. Uncinate process

Correct answer: 3. Inferior turbinate

Explanation: The inferior turbinate is a separate bone,while rest of the turbinates are a part of ethmoidal labyrinth. Ref.Dhingra 6/e,p 12.